The commonest side effect of cisplatinum in a patient using it for esophageal carcinoma is :
1. Acute tubular necrosis
2. Thrombocytopenia
3. Hepatic failure
4. Cardiomyopathy

Correct answer: 1. Acute tubular necrosis

Explanation: Answer is A (Acute tubular necrosis) The most important toxity of cisplatinum is renal impairment - KDT 7th/777 Acute tubular necrosis is a manifestation of renal impairment and hence the answer.